Which of the following is not a feature of Metropathia haemorrhagica
1. Occurs in younger women
2. Uterus is bulky
3. Menorrhagia
4. Endometrial hyperplasia

Correct answer: 1. Occurs in younger women

Explanation: Metropathic haemorrhagica: Seen in women between 40 and 45 years Continuous painless vaginal bleeding Uterus is slightly bulky Endometrium shows cystic glandular hyperplasia Ref: Shaw Gynecology 17 e pg 133.